Safe inducing agent used for day care is:
1. Thiopentone
2. Etomidate
3. Ha lothane
4. Propofol

Correct answer: 4. Propofol

Explanation: Propofol